All of the following are true about incontinentia pigmenti, except:
1. Ocular involvement is seen in almost 100% cases and is typically unilateral
2. Avascularity of peripheral retina
3. Primary skin abnormality
4. X-linked dominant

Correct answer: 1. Ocular involvement is seen in almost 100% cases and is typically unilateral

Explanation: Ocular involvement is seen in about 20-35 percent of the cases of incontinentia pigmenti but not in 100 percent cases as mentioned in the option. Incontinentia pigmenti is a X-linked dominant primary skin disease that leads to avascularity of the retina. Ref: Rook's Textbook of Dermatology 7th Edition, Pages 39.20-3.22; The Retinal Atlas By Lawrence A. Yannuzzi, Page 38